Longest acting local anaesthetic is:
1. Procaine
2. Lignocaine
3. Bupivacaine
4. All of the above

Correct answer: 3. Bupivacaine

Explanation: Ans. C i.e. Bupivacaine Bupivacaine Amide with duration of action more than 2 hours, C/I for: Bier's block/Intravenous regional anaesthesia/IVRA It is highly cardiotoxic Cardiotoxicity is not easily reversible, Levo-bupivacaine is used by epidural/intrathecal route